Upper class score in kuppuswamy socio-economic status scale is
1. 10-May
2. 15-Nov
3. 16-25
4. 26-29

Correct answer: 4. 26-29

Explanation: Kuppuswamy's socioeconomic status scaleEducationProfession or Honours7Graduate or Postgraduate6Intermediate or post-high school diploma5High school certificate4Middle school certificate3Primary school certificate2Illiterate1OccupationProfession10Semi-profession6Clerical, shop-owner, farmer5Skilled worker4Semi-skilled worker3unskilled 2Unemployed1Family income per month in Rs Family income per month in Rs Score= 2000= 19,575121000-19999788-1957410750-9997323-97876500-7494894-73224300-4992936-48933101-299980-29352< 100< 9791Total scoreSocioeconomic status26-29Upper16-25Upper-middle11-15Lower middle5-10Upper lower<5LowerRef: Park; 23rd ed; Pg 690